"Rationalization" is seen in
1. Schizophrenia
2. Phobia
3. Obsessive compulsive disorder
4. Substance abuse disorder

Correct answer: 4. Substance abuse disorder

Explanation: Rationalization is a neurotic defense mechanism where an individual gives rational explanation to justify his own unacceptable behavior, seen in substance abuse disorder.
Ex: A chronic alcoholic blames his family environment as a cause of his alcoholism.